A tumor has the following characteristics: - Retrobulbar location within the muscle cone, well defined capsule, presents with slowly progressive proptosis , easily resectable, occurs most commonly in the 2.d to 4th decade. Most likely diagnosis is:
1. Capillary hemangioma
2. Cavernous hemangioma
3. Lymhangioma
4. Hemangiopericytoma

Correct answer: 2. Cavernous hemangioma

Explanation: B i.e. Cavernous hemangioma Cavernous hemangioma is most common benign orbital tumor occurring mostly in second to fifth decade and presenting with slowly progressive unilateral proptosisQ. It is mostly situated within lateral part of muscle cone behind the globe (retrobulbar)Q. It is well encapsulated and easy to removeQ. It may be accelerated by pregnancy.